In pupillary reflex nerve tested is -
1. 2nd
2. 3rd
3. Both 2nd and 3rd
4. 4th

Correct answer: 3. Both 2nd and 3rd

Explanation: Afferent nerve for light reflex → optic (2nd) nerve.
Efferent nerve for light reflex → occulomotor (3rd) nerve.